A baby is brought to ophthalmology department with congenital cataract involving the visual axis. What is the MOST appropriate management in this baby?
1. Immediate operation
2. Wait & watch
3. Mydriatics
4. Operate in adult

Correct answer: 1. Immediate operation

Explanation: If the opacity is small enough so that it does not occlude the pupil, adequate visual acuity is attained by focusing around the opacity. If the pupillary opening is entirely occluded, however, normal sight does not develop, and visual deprivation may lead to nystagmus and profound irreversible amblyopia. Good visual results have been reported with both unilateral and bilateral cataracts treated by early surgery and prompt correction of aphakia and amblyopia therapy. Ref: Fredrick D.R. (2011). Chapter 17. Special Subjects of Pediatric Interest. In P. Riordan-Eva, E.T. Cunningham, Jr. (Eds), Vaughan & Asbury's General Ophthalmology, 18e.